Contraction of uterine pain is carried by
1. L 1,2,3
2. T 12, L 1,2,3
3. T 10,11,12 L 1
4. L 3,4,5 S 1,2

Correct answer: 3. T 10,11,12 L 1

Explanation: In the early stages of labour pains are mainly uterine in origin because of painful uterine contractions It is distributed along the cutaneous nerve distribution of T10 - L 1. In the later stages pain is due to cervical dilatation This pain is referred to back through sacral plexus. Ref: Dutta Obs 9e pg 112.